The most common systemic association of scleritis is-
1. Ehlers - Danlos syndrome
2. Disseminated systemic sclerosis
3. Rheumatiod arthritis
4. Giant cell arteritis

Correct answer: 3. Rheumatiod arthritis

Explanation: Scleritis refers to a chronic inflammation of the scleraproper. It is a comparatively serious disease whichmay cause visual impairment and even loss of theeye if treated inadequately. Autoimmune collagen disorders, especiallyrheumatoid arthritis, is the most commonassociation. Overall about 5% cases of scleritisare associated with some connective tissuedisease. About 0.5 percent of patients (1 in 200)suffering from seropositive rheumatoid arthritisdevelop scleritis. Other associated collagendisorders are Wegener's granulomatosis,polyarteritis nodosa (PAN), systemic lupuserythematosus (SLE) and ankylosing spondylitis. REF:Comprehensive ophthalmology,AK Khurana,4th edition,pg no.129.